Stage IIB cervical carcinoma. Best line of management:
1. Type 3 hysterectomy
2. Chemotherapy
3. Radiation therapy
4. Chemoradiation

Correct answer: 4. Chemoradiation

Explanation: Management of Cervical cancer Stage I-IIA -Radical Hysterectomy Stage >= IIB - Chemoradiation